PPV does not depend on
1. Sensitivity
2. Specificity
3. Prevalence of disease
4. Incidence of disease

Correct answer: 4. Incidence of disease

Explanation: Positive Predictive Value(PPV) depends on

Sensitivity
Specificity
Prevalence of disease

PPV ∝ Prevalence of disease.
PPV is directly proportional to prevalence of disease.